Esomeprazole acts by inhibiting:
1. H+K+ ATPase pump
2. H+Na+ ATPase pump
3. H+ pump
4. Any of the above

Correct answer: 1. H+K+ ATPase pump

Explanation: Esmoprosol is an example of proton pumb inhibitor ESSENTIALS OF MEDICAL PHARMACOLOGY SEVENTH EDITION KD TRIPATHI PG NO.653